The best parameter for assessment of chronic malnutrition is -
1. Weight of age
2. Weight for height
3. Height for age
4. Any of the above

Correct answer: 3. Height for age

Explanation: parks textbook of preventive and social medicine 23rd edition * height is a stable measurement of growth as opposed to body weight .whereas the weight reflects only the present health status of the child,height indicate the events in the past also. *low height for age also knownn as nutritional stunting or drawfting.it reflects past or chronic mal nutrition.